Birth of infant to delivery of placenta is?
1. 1st stage
2. 2nd stage
3. 3rd stage
4. 4th stage

Correct answer: 3. 3rd stage

Explanation: 3rd stage of labour.